Which of the following monoclonal antibodies is a humanized antibody
1. Rituximab
2. Palivizumab
3. Infliximab
4. Basilximab

Correct answer: 2. Palivizumab

Explanation: Ref-Katzung 10/e p816 Fron nomenclature of monoclonal antibodies